The treatment of choice for mongolian spots is:
1. Laser therapy
2. Skin grafting
3. Steroids
4. None of the above

Correct answer: 4. None of the above

Explanation: Mongolian spots are bluish, well demarcated spots on the buttocks and trunk. The name is a misnomer because these are not related to Down's syndrome and usually disappears before the first birthday. There is no need of treatment and so the answer is 'None of the above'. Ref: O.P.Ghai, 6th Ed, Page 136; 7th Ed, Page 146